Drug specifically used for depressive phase of bipolar disorder is -
1. Carbamazepine
2. Valproate
3. Lithium
4. Lamotrigine

Correct answer: 4. Lamotrigine

Explanation: Ans. is 'd' i.e., Lamotrigine o Lamotrigine is the first anticonvulsant to be of benefit in bipolar depression